Migration motor complex is due to which of the following?
1. Gastrin
2. CCK
3. Motilin
4. VIP

Correct answer: 3. Motilin

Explanation: The migrating motor complex is a distinct pattern of electromechanical activity observed in gastrointestinal smooth muscle during the periods between meals. It is thought to serve a "housekeeping" role and sweep residual undigested material through the digestive tube Ref: guyton and hall textbook of medical physiology 12 edition page number:442,443,444